Which of the following arteries supplying uterus is insensitive to hormonal changes
1. Radial arteries
2. Spiral arteries
3. Basal arteries
4. None of above

Correct answer: 3. Basal arteries

Explanation: Basal arteries are relatively insensitive to hormonal changes.